Denture sore mouth is caused by
1. Actinomyces
2. Candida albicans
3. Blastomyces
4. None of the above

Correct answer: 2. Candida albicans